severe rncephalitis with direct yransmisdion from pig to human seen in which of the following organisms-
1. Poliovirus
2. Measles virus
3. Nipah virus
4. West Nile virus

Correct answer: 3. Nipah virus

Explanation: severe rncephalitis with direct yransmisdion from pig to human seen in which of the following organisms- REF:MICROBIOLOGY ANANTHA NARAYANAN NINTH EDITION PAGE.514